Position of distal fragment in fracture upper third of femur shaft
1. Adducted
2. Abducted
3. Posteriorly displaced
4. Anteriorly displaced

Correct answer: 1. Adducted